A client with head trauma develops a urine output of 300 ml/hr, dry skin, and dry mucous membranes. Which of the following nursing interventions is the most appropriate to perform initially?
1. Evaluate urine specific gravity
2. Anticipate treatment for renal failure
3. Provide emollients to the skin to prevent breakdown
4. Slow down the IV fluids and notify the physician

Correct answer: 1. Evaluate urine specific gravity

Explanation: Urine output of 300 ml/hr may indicate diabetes insipidus, which is a failure of the pituitary to produce the anti-diuretic hormone. This may occur with increased intracranial pressure and head trauma; the nurse evaluates for low urine specific gravity, increased serum osmolarity, and dehydration.

Option B: There’s no evidence that the client is experiencing renal failure.
Option C: Providing emollients to prevent skin breakdown is important, but doesn’t need to be performed immediately.
Option D: Slowing the rate of IV fluid would contribute to dehydration when polyuria is present.